Ward Mayo's operation is indicated in :
1. Carcinoma uteus
2. Nullipara prolapse
3. Procidentia
4. Carcinoma cervix

Correct answer: 3. Procidentia

Explanation: Procidentia